Prolonged QT interval is not seen in?
1. Hypokalemia
2. Hypocalcemia
3. Hypomagnesemia
4. Hypercalcemia

Correct answer: 4. Hypercalcemia

Explanation: Hypercalcemia: The most common ECG findings of hypercalcemia are a short QT interval secondary to a shortened ST segment. There may also be a widened or flattened T wave; however, significant hypercalcemia can cause ECG changes that mimic an acute myocardial infarction Ref Harrison 20th edition pg 1534